Characteristic hallucination of schizophrenia is
1. Auditory hallucinations commanding the patient
2. Auditory hallucinations giving running commentary
3. Auditory hallucinations criticizing the patient
4. Auditory hallucinations talking to patient

Correct answer: 2. Auditory hallucinations giving running commentary

Explanation: Ans. B. Auditory hallucinations giving running commentaryThird-person hallucinations, e.g. voices heard arguing, commenting or discussing the patient or giving a running commentary on one's action; are characteristic of schizophrenia.In schizophrenia auditory hallucinations are the most common type of hallucinations. First-person hallucination:- Audible self-thoughtsSecond person hallucination:- Voices address the person directly or commanding one's action andThird-person hallucinations:- voices heard arguing, commenting or discussing the patient or giving a running commentary on his action or thought. Only the "third person hallucinations' are characteristic of schizophrenia.